Akathesia is treated by A/E
1. Trihexyphenidyl
2. Diazepam
3. Haloperidol
4. Promethazine

Correct answer: 3. Haloperidol

Explanation: C i.e. HaloperidolAkathesia is characterised by inner restlessnessQ (feeling of discomfort & agitation) and external restlessness (compulsion to move extremities & fidgety movementsQ). It is seen in basal ganglia disorders (eg Parkinson's disease) and alongwith extrapyramidal side effects of antipsychotic drugsQ.In acute dystonia (neurolept induced), there are linguofacial bizarre muscle spasmQ (1/t grimacing, torticollis, locked jaw, chewing, puffing of cheeks) occurring within few hours or the most 1 weekQ of starting or rapidly increasing the dose of neuroleptic drug. DOC is anticholinergic, antihistaminic drugs.Anhedonia: It means not getting interest or happiness in pleasurable stimuli & nihilism (helplessness, worthlessness hopelessness). It is a feature of depression.The development of subjective symptoms of restlessness within 4 weeksQ of initiating or increasing the dose of neuroleptic with Pacing, Rocking, Fidgety movements & inability to sit or stand for atleast several minutesQ are diagnostic of neuroleptic induced acute akathisia.Haloperidol, a neurolept causes akathisia (not used in treatment)Q. Treatment of akathisia (internal & external restlessness): 1. JO Blockers (drug of choice)Q, 2. Centrally acting (antiparkinson) anticholinergics ex. trihexyphenidyl, benztropine etcQ are less effective, 3. Amantidine, Cyproheptadine & DiazepamQ are used in resistant cases only.